Citric acid cycle is an example of:
1. Anabolic pathway
2. Catabolic pathway
3. Amphibolic pathway
4. None of the above

Correct answer: 3. Amphibolic pathway

Explanation: Amphibolic pathways, which occur at the "crossroads" of metabolism, acting as links between the anabolic and catabolic pathways, eg, the citric acid cycle. Ref: Harper 28th edition, chapter 16.